Burst suppression pattern on EEG is typically seen in
1. Anoxic encephalopathy
2. Absence seizures
3. SSPE
4. Herpes simplex encephalitis

Correct answer: 1. Anoxic encephalopathy

Explanation: As the depth of coma increases, the EEG becomes nonreactive and may show a burst-suppression pattern, with bursts of mixed-frequency activity separated by intervals of relative cerebral inactivity. In other instances, there is a reduction in amplitude of the EEG until eventually activity cannot be detected. Such electrocerebral silence does not necessarily reflect irreversible brain damage, because it may occur in hypothermic patients or with a drug overdose. The prognosis of electrocerebral silence, when recorded using an adequate technique, depends upon the clinical context in which it is found. In patients with severe cerebral anoxia, for example, electrocerebral silence in a technically satisfactory record implies that useful cognitive recovery will not occur.Ref: Ref: Harrisons 18/e